Mucosa in Crohn's disease shows the appearance of
1. Thumb print
2. Tree branching
3. Cobble stone
4. Patchy necrosis

Correct answer: 3. Cobble stone

Explanation: (C) Cobble stone # Crohn's disease shows: A characteristic sign of early disease is focal mucosal ulcers resembling canke sores (aphthous ulcers), edema, and loss of the normal mucosal texture.> With the progressive disease, mucosal ulcers coalesce into long, serpentine linear ulcers, which tend to be oriented along the axis of the bowel.> As the intervening mucosa tends to be relatively spared, the mucosa acquires a coarsely texture, cobblestone appearance> Crohn's disease or Regional enteritis is an inflammatory bowel disease involve commonly terrain however it may extend to caecum or into the ascending colon.> Crohn's disease involve the entire thickness of the affected segment of bowel wall i.e. transmural invasion, but distribution of lesions is segmental with normal skip area. Intervening surviving mucosa (Normal mucosa) is swollen and give "cobble stone" appearance.> "Garden hose pipe" appearance is found in ulcerative colitis. "Thumb imprinting" appearance is found in ischaemic colitis.